Sandhoffs disease is d/t absence of which enzyme?
1. Beta-hexosaminidase
2. Beta-glucuronibase
3. Arylsulphatase
4. Alpha galactosidase

Correct answer: 1. Beta-hexosaminidase

Explanation: Ans. is 'a' i.e.. Beta-hexosaminidase DiseaseEnzyme deficiencyLipid accumulatedTay-sach diseaseHexosaminidase AGM2 gangliosideSandoff diseaseHexosaminidase BGM2 gangliosideNiemann-Pick diseaseSphingomyelinaseSphingomvelineFarber's diseaseCeramidaseAcyl-sphingosine (ceramide)Fabry's diseasea-galactosidaseGlobotrisylceramideKrabbe's diseaseb-galactosidase (Galactosylceramidase)GaiactosylceramideGaucher's diseaseb-glucosidase (glucocerebrosidase)GlucosylceramideMetachromatic leukodystrophyArylsulfatase A3-Sulfogalactosylceramide